The poverty line limit for rural areas is the purchasing capacity for a daily intake of 2400 calories per person. Which one of the following calorie limis is for urban areas?
1. 1900
2. 2100
3. 2400
4. 2800

Correct answer: 2. 2100

Explanation: Below poverty line criteria BPL Criteria Rural areas Urban areas Per capita caloric intake <2400 Kcal/day <2100 kcal/day Per capita income (TC) <27/- INR/day <33/- INR/day Per capita income (RC) <32/- INR/day <47/- INR/day Per capita income (WHO) <1.90 US $ per day <1.90 US $ per day (TC: Tendulkar Committee 2011-12; RC: Rangarajan Committee 2014) Below poverty line (BPL) Population in India : 22% (Tendulkar Committee 2011-12) 29.5% (Rangarajan Committee 2014) Ref: Park 23rd edition Pgno : 702